Poly(A) tail translates into (i.e. on translation give rise to):
1. Polyproline
2. Polylysine
3. Polyalanine
4. Polyglycine

Correct answer: 2. Polylysine

Explanation: B i.e. PolylysineCodonAAAGGGCCCTTT/ UUUTranslation productLysinQGlycineProlinePhenylalanine